Which among the following amino acids absorbs UV light?
1. Leucine
2. Lysine
3. Tyrosine
4. Valine

Correct answer: 3. Tyrosine

Explanation: Ans. C. TyrosineAmino acids which absorb 250-290 nm UV light are: phenylalanine, tyrosine, tryptophan (aromatic amino acids)Important biochemical & the wavelength of light which they absorb:a. Nucleotides - 260 nmb. Aromatic amino acids - 250-290 nmc. NADH - 340 nmd. Porphyrin -400 nm (Soret band)